All of the following cause high anion gap metabolic acidosis except-
1. Lactic acidosis
2. Salicylats poisoning
3. Ethylene glycol poisoning
4. Ureterosigmoidostomy

Correct answer: 4. Ureterosigmoidostomy

Explanation: Uretrosigmoidostomy causes normal anion gap(AG) metabolic acidosis. *Causes of High-Anion Gap Metabolic Acidosis *Lactic acidosis *Ketoacidosis Diabetic. Alcoholic. Starvation * Renal failure (acute and chronic)